Injection DMPA is given once in ?
1. 3 days
2. 3 week
3. 3 months
4. 3 years

Correct answer: 3. 3 months

Explanation: Ans. is 'c' i.e., 3 months Depot formulations (Injectable hormones) They are given i.m. as oily solution 1. Long acting progestin alone Depot medroxy progesterone acetate (DMPA) 150 mg at 3 month intervals. or Norethindrone (norethisterone) enanthate (NEE) 200 mg at 2 months intervals. The most important undesirable property is complete disruption of mestural bleeding pattern and total amenorrhoea (more common with DMPA). 2. Long acting progestin + long acting estrogen - once a month.